Basanti 27 years old female thinks her nose is ugly. Her idea is fixed and not shared by anyone else. Whenever she goes out of home she hides her face. She visits a surgeon for plastic surgery. Next step would be-
1. Investigate & then operate
2. Reassure the patient
3. Immediate operation
4. Refer to psychiatrist

Correct answer: 4. Refer to psychiatrist

Explanation: D i.e. Refer to psychiatristDelusion is a false unshakable belief which is not in keeping with the patient's social culture & educational background.Delusional dysmorphophobia is a delusional disorder in which patient has delusion about his/her body (or its part mostly nose) being ugly or misshappen.So this lady in question is a case of delusional dysmorphophobia, so ressurance is not going to help (as her belief is firm & unshakable) without proper psychotherapy. Thus the most appropriate answer is refer to psychiatrist.